Familial hypercholesterolemia is due to defect in
1. Apo A
2. Lipoprotein lipase
3. Apo C
4. Apo B 100

Correct answer: 4. Apo B 100

Explanation: Name Defect Remarks Familial hypercholesterolemia (type IIa) Defective LDL receptors or mutation in the ligand region of apo B-100 Elevated LDL levels and hypercholesterolemia, resulting in atherosclerosis and coronary disease Reference: Harper; 30th edition; Page no: 275